Target cells are seen in?
1. Liver disease
2. Post splenectomy
3. Thalassemia
4. All of the above

Correct answer: 4. All of the above

Explanation: Ans. D. All of the aboveTarget cells (Central area of hemoglobinization)a. Liver diseaseb. Post - splenectomyc. thalassemiad. Hemoglobin C disease